Which of the following drugs not used in endometriosis?
1. Danazol
2. Progestin
3. GnRH agaonist
4. Misoprost

Correct answer: 4. Misoprost

Explanation: Ans. is d, i.e. MisoprostDrugs used in the management of Endometriosis:Proctor: Progesterone (oral/DMPA inj/Mirena IUCD)And: Anti progestin (Mifeprestone/onapristone)Gamble: GnRH agonistAlways: Aromatase inhibitor (Letrozole/Anastrozole)Offer: OCP's (continuous)Good: GestrinoneDeals: Danazol